Approximate dose of drug in a 3 years old child would be:-
1. Same as an adult dose
2. Half of an adult dose
3. One-third of an adult dose
4. One-fourth of an adult dose

Correct answer: 3. One-third of an adult dose

Explanation: Approximate percentage of dose in children as compared to adult are Age % of adult dose 1 year 25 3 years 33 5 years 40 7 years 50 9 years 60 12 years 75